Which of the following is NOT felt with a digital rectal examination?
1. Seminal vesicles
2. Prostate
3. Rectovesical pouch
4. Ureter

Correct answer: 4. Ureter

Explanation: During digital rectal examination in a male, the finger sequentially palpates on the anterior wall, the prostate gland, the seminal vesicles, and the rectovesical pouch. Posteriorly is the hollow of the sacrum and the coccyx. On the anterior wall of the female, the uterine cervix, the uterine fundus (if retroverted), and the rectouterine pouch will be felt. The rectal wall is palpated for masses and narrowing of the lumen. Ref: LeBlond R.F., DeGowin R.L., Brown D.D. (2009). Chapter 9. The Abdomen, Perineum, Anus, and Rectosigmoid. In R.F. LeBlond, R.L. DeGowin, D.D. Brown (Eds), DeGowin's Diagnostic Examination, 9e.